The role of mitochondria is in all of the following, except:
1. ATP production
2. Apoptosis
3. Tricarboxylic acid cycle
4. Fatty acid biosynthesis

Correct answer: 4. Fatty acid biosynthesis

Explanation: Mitochondria is not involved in Fatty acid biosynthesis. Fatty acid biosynthesis takes place in cytosol.